Which of the following condition is not associated with an increased anion gap?
1. Salicylate poisoning
2. Proximal A
3. Ethylene glycol poisoning
4. Lactic acidosis

Correct answer: 2. Proximal A

Explanation: Both proximal and distal A causes normal anion gap metabolic acidosis. Normal anion gap is 8 - 12 mEq/L. Conditions associated with increased anion gap acidosis are lactic acidosis, ketoacidosis, ingestion of toxins ( alcohol, ethylene glycol, methanol, isopropyl alcohol), acute and chronic renal failure.